Catgut is preserved in:-
1. Glutaraldehyde
2. Isopropyl alcohol
3. Iodine
4. Cetrimide

Correct answer: 2. Isopropyl alcohol

Explanation: CATGUT Catgut is preserved in Isopropyl alcohol. Plain catgut is derived from submucosa of sheep's intestineQ. Plain catgut loses 50% tensile strength in 3 daysQand all tensile strength in 15 days and absorbed in 60 daysQ. Isopropyl alcoholQis used as preservative for packing catgut sutures.